All of the following are true about Penicillins except?
1. Penicillin V is acid stable, can be given orally
2. Probenecid increases the duration of action by penicillins
3. Benzathine penicillin is used in the treatment of Neurosyphilis
4. Penicllin V acts mainly on gram +ve micro organisms

Correct answer: 3. Benzathine penicillin is used in the treatment of Neurosyphilis

Explanation: Aqueous penicillin can cross BBB and hence it is the drug of choice in patients of neurosyphilis.